Incubation period of staphylococcus aurues food poisoning:
1. 1-6 hours
2. 7-12 hours
3. 13-18 hours
4. 19-24 hours

Correct answer: 1. 1-6 hours

Explanation: Ans. A i.e. 1-6 hours Classification of Food Poisoning: Based on symptoms and duration of onset Nausea and vomiting within six hours (Staphylococcus aureus, Bacillus cereus) - Abdominal cramps and diarrhoea within 8-16 hours (Clostridium perfringens, Bacillus cereus) - Fever, abdominal cramps and diarrhoea within 16-48 hours (Salmonella, Shigella, Vibrio parahemolyticus, Enteroinvasive E.coli, Campylobacter jejuni) - Abdominal cramps and watery diarrhoea within 16-72 hours (Enterotoxigenic E.coli, Vibrio cholera 01, 0139, Vibrio parahemolyticus, NAG vibrios, Norwalk virus) - Fever and abdominal cramps within 16-48 hours (Yersinia enterocolitica) - Bloody diarrhoea without fever within 72-120 hours (Enterohemorrhagic E.coli 0157:H7) - Nausea, vomiting, diarrhoea and paralysis within 18-36 hours (Clostridium botulinum) Based on pathogenesis - good intoxications resulting from the ingestion of preformed bacterial toxins. (Staphylococcus aureus, Bacillus cereus, Clostridium botulinum, Clostridium perfringens) Food intoxications caused by noninvasive bacteria that secrete toxins while adhering to the intestinal wall (Enterotoxigenic E.coli, Vibrio cholerae, Campylobacter jejuni) - Food intoxications that follow an intracellular invasion of the intestinal epithelial cells. (Shigella, Salmonella) - Diseases caused by bacteria that enter the blood stream the intestinal tract. (Salmonella typhi, Listeria monocytogenes)